A primigravida female presented with erythematous skin changes and lesions with multiple pus lakes. Which of the following should be the most appropriate –
1. Corticosteroids
2. Atretinin
3. Psorolen + PUVA
4. PUVA

Correct answer: 1. Corticosteroids

Explanation: Multiple pus lakes and erythematous skin changes in pregnancy suggests the diagnosis of Impetigo herpetiformis (generalized pustular psoriasis of pregnancy or pustular dermatoses of pregnancy).
Impetigo herpetiformis can usually be successfully treated with topical and systemic corticosteroids.